Moh's micrographic excision for basal cell carcinoma is used for all of the following except -
1. Recurrent Tumour
2. Tumor less than 2 cm in diameter
3. Tumors with aggressive histology
4. Tumors with perineural invasion

Correct answer: 2. Tumor less than 2 cm in diameter

Explanation: • Mohs’ technique uses serial excision in small increments coupled with immediate microscopic analysis to ensure tumor removal, yet limit resection of aesthetically valuable tissue.
• Advantage: All specimen margins are evaluated.
• Major benefit: Ability to remove a tumor with minimal sacrifice of uninvolved tissue.
• Particular value in managing tumors of the eyelid, nose, or cheek
• Indicated in large, aggressive tumors located at vital areas or recurrent tumors
• Major drawback: Procedure length (Total lesion excision may require multiple attempts at resection, and many procedures may be carried out over several days)
• Recurrence and metastases rates are comparable to those of wide local excision.